Renal cell carcinoma is related to gene located on chromosome -
1. 3
2. X
3. 22
4. 20

Correct answer: 1. 3

Explanation: Both sporadic and familial RCC is associated with: Loss of sequence on chromosome 3 either by translocation (3:6, 3:8, 3:11) or deletion. This region harbors the VHL gene. Familial RCC is associated with:- Von Hippel-Lindau syndrome Ref: RAM DAS NAYAK EXAM PREPARATORY MANUAL FOR UNDERGRADUATES 2nd ed. pg no: 633